Which vaccine is most effective -
1. Cholera
2. Typhoid
3. Yellow fever
4. Chicken pox

Correct answer: 3. Yellow fever